Causes of raised J.V.P. with hypotension are all except
1. Cardiac tamponade
2. Right ventricular M.I.
3. Heart failure
4. 2nd Degree A. V. block

Correct answer: 4. 2nd Degree A. V. block